All except one is true regarding murmur heard in hypertrophic obstructive  cardiomyopathy
1. Systolic murmur decreases on squatting
2. Systolic  murmur increases on valsalva manoeuvre
3. Systolic murmur increases with hand grip
4. Systolic murmur decreases on taking beta blocker

Correct answer: 3. Systolic murmur increases with hand grip

Explanation: Murmur in HOCM decreases with handgrip
DYNAMIC CARDIAC ASCULTATION
Effect of Murmurs.